Pyruvate dehydrogenase is inhibited allosterically by ?
1. AMP
2. Pyruvate
3. NADH
4. `Insulin

Correct answer: 3. NADH

Explanation: Ans. is 'c' i.e., NADH